Which of the following organ is not affected by Plasmodium falciparum?
1. Lung
2. Liver
3. Kidney
4. Heart

Correct answer: 4. Heart